All of the following are seen in Rickets except –
1. Bow legs
2. Gunstock deformity
3. Pot belly
4. Craniotabes

Correct answer: 2. Gunstock deformity